Total amount of iron needed by the fetus during entire pregnancy
1. 500 mg
2. 1000 mg
3. 800 mg
4. 300 mg

Correct answer: 4. 300 mg

Explanation: Iron needs in pregnancy Fetus and placenta 300mg Red cell expansion 500mg Net need in pregnancy 900mg Reference: Textbook of Obstetrics; Sheila Balakrishnan; 2nd edition; Page no: 285